Sertoli cells have receptors for
1. FSH
2. LH
3. Inhibin
4. Progesterone

Correct answer: 1. FSH

Explanation: Sertoli cells elongated cells in the seminiferous tubules that ensheathe spermatogenic cells, providing a microenvironment that supports spermiogenesis and spermatocytogenesis; they secrete androgen-binding protein and establish the blood-testis barrier by forming tight junctions with adjacent Sertoli cells. In the male, the FSH receptor has been identified on the Sertoli cells that are critical for spermatogenesis.Ref: Ganong's review of medical physiology; 24th edition; page no:-420